An obese NIDDM patient present with FBS=180 mg% and PPBS=260 mg% Management include-a) Glibenclamideb) Diet therapy+exercisec) Diet therapy+exercise + Metformin
 d) Chlorpropamide
1. ab
2. bc
3. bd
4. cd

Correct answer: 2. bc